All the following cause extra vascular hemolysis except?
1. Hereditary spherocylosis
2. Thalassemia
3. Autoimmune hemolytic anemia
4. Blood transfusion reaction

Correct answer: 4. Blood transfusion reaction

Explanation: Blood transfusion reaction cause intravascular hemolysis.